Current concepts of "evaluating health care" require a scientific basis for treatment referred as:
1. Evidence based therapy
2. Periodontal maintenance
3. Tooth mortality
4. Prevention of loss of attachment

Correct answer: 1. Evidence based therapy